Sequence of colour changes observed in Raynaud's disease:
1. Red, blue, white
2. White, blue, red
3. Blue, red, white
4. White, red, blue

Correct answer: 2. White, blue, red

Explanation: Ans. B: White, blue, red The change in skin color is caused by the constriction or narrowing, or spasm of blood vessels in the finger, toes, and earlobes. This causes blood flow to the area be reduced, and the skin color to turn white (pallor). When the oxygen supply to the area is depleted, the skin color turn blue (cyanosis). When blood return to the area, the skin color turn red (rubor). The symptoms of Raynaud's Disease are: Color change in the fingers, toes, and earlobes when exposed to cold or stress When warmed, the skin color turns back to normal Burning, tingling and pin-and-needles sensation during color change In rare, severe cases, gangrene can develop at the tip of the fingers